Psychosis in SLE is caused by -
1. Anti-ribosomal P antibody
2. Anti-glutamate acid decarboxylase antibody
3. Anti-endomyosial antibody
4. Anti-histone antibody

Correct answer: 1. Anti-ribosomal P antibody

Explanation: Answer- A. Anti-ribosomal P antibodyAnti-ribosomal P antibody- CNS lupus